Troponin-T is preferable to CPK-MB in the diagnosis of acute MI in all of the following situations except -
1. Bedside diagnosis of MI
2. After CABG
3. Reinfarction after 4 days
4. Small infarct

Correct answer: 3. Reinfarction after 4 days